Antenatal maternal HIV diagnosis is of importance in -
1. To prevent vertical transmission
2. To terminate
3. To discharge
4. To isolate the patient

Correct answer: 1. To prevent vertical transmission

Explanation: Ans. is 'a' To prevent vertical transmission . HIV infected mother can transmit the virus to fetus/infant during pregnancy, during delivery or by breast feeding. . Early diagnosis and antiretroviral therapy to mother and infant significantly decrease the rate of intrapartum and perinatal transmission (Vertical transmission) of HIV infection. . Zidovudine treatment of HIV infected pregnant women from the beginning of the second trimester through delivery and of infant for 6 weeks following birth decreases the rate of transmission from 22.6 % to < 5% . Single dose of nevirapine given to the mother at the onset of labor followed by a single dose to the newborn within 72 hours of birth decreased transmission by 50%. This is the prefered regimen now in developing countries.